Which of the following is an example of heterophile antibody test ?
1. Widal test
2. Weil-Felix reaction
3. Rose-waler test
4. Blood grouping & cross matching

Correct answer: 2. Weil-Felix reaction

Explanation: Ans. is 'b' i.e., Weil-Felix reaction Heterophilic agglutination reaction Some organisms of different class or species share closely related antigens. When serum containing agglutinin (antibody) of one organism gives agglutination reaction with antigen of other organism, it is called heterophilic agglutination test. Examples are Streptococcus M.G. agglutination test for primary atypical pneumonia. Weil - Felix reaction for typhus fever. Paul Bunnell test for IM1V.